Secondary amenorrhea is one of the clinical features of all the following conditions except
1. Genital tuberculosis
2. Endometriosis
3. Premature ovarian failure
4. Hyperprolactinemia

Correct answer: 2. Endometriosis

Explanation: Secondary amenorrhea is not the clinical feature of endometriosis. The various clinical features of endometriosis are: Dysmenorrhea: Commonest symptom. Lower abdominal pain. Dyspareunia. Infertility. Menorrhagia and irregular bleeding. Chronic pelvic pain. Frequency of micturition and dysuria. Genital tuberculosis, premature ovarian failure and hyperprolactinemia are important causes of secondary amenorrhea. Premature ovarian failure means ovarian failure before the age of 40. Hyperprolactinemia leads to amenorrhea with galactorrhea.